Mutation in sickle cell disease is a
1. Silence mutation
2. Missense mutation
3. Nonsense mutation
4. Frame shift mutation

Correct answer: 2. Missense mutation

Explanation: It is a point mutation at the 6th code of β globin chain leading to substitution of glutamine by valine.